In dacryocystorhinostomy operation the communication of the sac is established with:
1. Middle meatus
2. Superior meatus
3. Inferior meatus
4. All of the above

Correct answer: 1. Middle meatus

Explanation: Ans. Middle meatus